Which of the following artery is present in anatomical snuff box:
1. Anterior interosseous artery
2. Brachial artery
3. Radial artery
4. Ulnar artery

Correct answer: 3. Radial artery

Explanation: Ans. C: Radial artery The boundaries of anatomical snuff box: The medial border of the snuffbox is the tendon of the extensor pollicis longus. The lateral border is a pair of parallel and intimate tendons, of the extensor pollicis brevis and the abductor pollicis longus. (Accordingly, the anatomical snuffbox is most visible, having a more pronounced concavity, during thumb extension.) The proximal border is formed by the styloid process of the radius The distal border is formed by the approximate apex of the schematic snuffbox isosceles triangle. The floor of the snuffbox varies depending on the position of the wrist, but both the trapezium and primarily the scaphoid can be palpated Deep to the tendons which form the borders of the anatomical snuff box lies the radial artery, which passes through the anatomical snuffbox on its course from the normal radial pulse detecting area, to the proximal space in between the first and second metacarpals to contribute to the superficial and deep palmar arches.